All are second generation antihistaminic except -
1. Acrivastin
2. Cyclizine
3. Fexofenadine
4. Loratidine

Correct answer: 2. Cyclizine

Explanation: Ans. is 'b' i.e., Cyclizine o Cyclizine is first generation antihistaminic. o Second generation antihistaminics are terfendine, fexofenadine, loratadine, desloratadine, cetrizine, astemizole, levocetrizine, azelastine, mizolastine, ebstine, rupatadine and acrivastin.